A middle aged women presented with right sided hearing loss , Rinne's test shows positive result on left side & negative result on right side. Weber's test showed lateralisation to left side. Diagnosis is :
1. Right sided conductive deafness
2. Right sided sensorineural deafness
3. Left sided sensorineural deafness
4. Left sided conductive deafness

Correct answer: 2. Right sided sensorineural deafness

Explanation: The Rinne tuning fork test is sensitive in detecting conductive hearing losses. A Rinne test compares the ability to hear by air conduction with the ability to hear by bone conduction.Normally and in the presence of sensorineural hearing loss, a tone is heard louder by air conduction than by bone conduction.With a unilateral conductive hearing loss, the tone is perceived in the affected ear. With a unilateral sensorineural hearing loss, the tone is perceived in the unaffected ear. So in this case it is right sided sensorineural deafness.